As per ADA No. 25, minimum amount of setting expansion required for type V gypsum productis
1. 0.05
2. 0.1
3. 0.15
4. 0.2

Correct answer: 2. 0.1